Uteroplacental blood flow per minute
1. 200 ml / minute
2. 400 ml / minute
3. 300 ml / minute
4. 600 ml / minute

Correct answer: 4. 600 ml / minute

Explanation: Uteroplacental blood flow per minute : 450 - 650 mL/min